Complication of total parenteral nutrition is:-
1. CHF
2. Hypochloremia
3. Metabolic acidosis
4. Leukopenia

Correct answer: 3. Metabolic acidosis

Explanation: One of the complication of total parenteral nutrition is metabolic acidosis. COMPLICATIONS OF TPN MC complication of central venous catheterization (CVC): Catheter related sepsisQ Most dangerous complication following CVC: PneumothoraxQ Electrolyte Abnormalities in TPN Hyponatremia and hypernatremiaQ Hypokalemia and HyperkalemiaQ Hypophosphatemia and hyperphosphatemiaQ Hypomagnesemia and HypermagnesemiaQ Hypocalcemia and hypercalcemiaQ High zinc and low zincQ High copper and low copperQ Hyperchloremic metabolic acidosisQ